Which of the following facts about prostate is not true?
1. Benign prostatic hyperplasia is common in peripheral zone
2. Normal adult prostate weighs around 20gm
3. Carcinomas are more common in peripheral zone
4. PSA is sensitive marker in prostate pathology but lacks specificity

Correct answer: 1. Benign prostatic hyperplasia is common in peripheral zone

Explanation: Prostate has 3 zones
a) Central zone
b) Transition zone - BPH
c) Peripheral zone - Carcinomas.